Best test for Small intestine malabsorption of carbohydrates is -
1. Lund meal test
2. Shilling test
3. D-Xylose test
4. Follacin test

Correct answer: 3. D-Xylose test